Blood volume in preterm neonate is -
1. 90 ml/kg
2. 80 ml/kg
3. 70 ml/kg
4. 60 ml/kg

Correct answer: 1. 90 ml/kg

Explanation: Ans. is 'a' i.e., 90 ml/kg Age Blood volume Preterm 90-110 ml/kg (average 100 ml/kg) Term 80-90 ml/kg (average 85 ml/kg) 1-3 months 75 ml/kg 3 months - adults 70 ml/kg